W hich of the following is not true about polymyositis
1. Limb girdle weakness
2. Ophthalmoplegia
3. Para-neoplastic syndrome
4. Spontaneous discharge in EMG

Correct answer: 2. Ophthalmoplegia

Explanation: Ans. b. Ophthalmoplegia PM mimics many other myopathies and is a diagnosis of exclusion. Involvement of extra-ocular and facial muscles rules out polymyositis. Polymyositis (PM) PM mimics many other myopathies and is a diagnosis of exclusion".Q Subacute inflammatory myopathy affecting adults and rarely children, who do not have any of the following: RashQ Involvement of extra-ocular and facial musclesQ Family history of neuromuscular disease History of exposure to myotoxic drugs and toxinsQ EndocrinopathyQ Neurogenic diseaseQ Muscular dystrophyQ Biochemical muscle disorders Inclusion body myositis (IBM) as excluded by muscle biopsy As an isolated entity, PM is a rare (and overdiagnosed) disorder More commonly, PM occurs in association with a systemic autoimmune or connective tissue disease, or with a known viral or bacterial infection. Drugs, especially d-penicillamine, statins, or zidovudineQ (AZT), may also trigger an inflammatory myopathy similar to PM